Which ion causes repolarization?
1. Magnesium
2. Calcium
3. Potassium
4. Sodium

Correct answer: 3. Potassium

Explanation: When potassium goes from inside to outside it causes rapid repolarization. (REF: TEXTBOOK OF MEDICAL PHYSIOLOGY GEETHA N 2 EDITION, PAGE NO - 26)